First internal sign of putrefaction is found -
1. Below the liver
2. In mediastinum
3. Below the spleen
4. In kidney

Correct answer: 1. Below the liver